A person is being treated for Human Immunodeficiency Virus-1. He developed hypertriglyceridemia and hypercholesterolemia. Most likely drug implicated for these adverse effects is:
1. Ritonavir
2. Raltegravir
3. Didanosine
4. Efavirenz

Correct answer: 1. Ritonavir

Explanation: ANTIVIRAL DRUGS: Protease inhibitors: Ritonavir, Indinavir, Nelfinavir, Saquinavir, Amprenavir*, Lopinavir The most prominent adverse effects of protease inhibitors are gastrointestinal intolerance, asthenia, headache, dizziness, limb and facial tingling, numbness and rashes. Of particular concern are lipodystrophy (abdominal obesity, buffalo hump with wasting of limbs and face) and dyslipidaemia (raised triglycerides and cholesterol) which may necessitate hypolipidaemic drugs. Diabetes may be exacerbated. Indinavir crystalises in urine and increases risk of urinary calculi. ESSENTIALS OF MEDICAL PHARMACOLOGY K.D.TRIPATHI SIXTH EDITION PAGE NO:773